Compression osteosynthesis may be used in all these areas except?
1. Comminuted fractures of mandible
2. FZ suture
3. Root of zygomatic arch
4. Bone graft fixation

Correct answer: 1. Comminuted fractures of mandible

Explanation: Apart from options b, c, d, compression osteosynthesis may be used in linear fractures (oblique fractures) of mandible.